During exploration, a patient is found to have a tumor in the thymus that is invading the pericardium and surrounding the left and right phrenic nerves. The pathologist says that appears on frozen section to be a benign thymoma. The surgeon now should
1. Repeat frozen section
2. Attempt as complete a resection as possible
3. Close the chest and plan irradiation therapy
4. Close the chest and await permanent sections

Correct answer: 2. Attempt as complete a resection as possible

Explanation: Ans. b. Attempt as complete a resection as possibleThymomas usually appear histologically benign even though they may be grossly invasive.Thymectomies are necessary when a thymoma is present to prevent the spread of malignant thymic disease.